Which of the following is not given alone in a patient of pheochromocytoma ?
1. Atenolol
2. Prazosin
3. Nitroprusside
4. Metyrosine

Correct answer: 1. Atenolol